Not done by insulin
1. Glycogen synthesis
2. Glycolysis
3. Lipogenesis
4. Ketogenesis 1

Correct answer: 4. Ketogenesis 1

Explanation: Insulin is a peptide hormone produced by beta cells of the pancreatic islets, It has important effects on the metabolism of carbohydrates, fats, and protein by promoting the absorption of, especially, glucose from the blood into fat, liver and skeletal muscle cells. In these tissues, the absorbed glucose is converted into either glycogen glycogenesis or fats (triglycerides) lipogenesis, or, in the case of the liver, into both. Glucose production (and excretion into the blood) by the liver is strongly inhibited by high concentrations of insulin in the blood. Circulating insulin also affects the synthesis of proteins in a wide variety of tissues. In high concentrations in the blood, it is, therefore, an anabolic hormone, promoting the conversion of small molecules in the blood into large molecules inside the cells. Low insulin levels in the blood have the opposite effect by promoting widespread catabolism.Ref: Ganong's review of medical physiology;24th edition; page no-433